Normal AV delay of 0.1 seconds is due to
1. Decrease in amplitude of firing
2. Resistance offered by myocytes
3. Decrease in number of gap junctions
4. Lack of tight junctions

Correct answer: 3. Decrease in number of gap junctions

Explanation: AV nodal fibers are small and have lesser gap junctions. This leads to AV nodal delay and slower conduction speed.